Acute exacerbation of COPD is done by all except
1. Pneumococcus
2. Moraxella catarrhalis
3. H influenza
4. Staph aureus

Correct answer: 4. Staph aureus

Explanation: Patients with COPD are frequently colonised with potential respiratory pathogens.Bacteria frequently implicated in COPD exacerbations include Streptococcus pneumoniae,Haemophilus influenzae, and Moraxella catarrhalis.In addition,Mycoplasma pneumoniae or Chlamydia pneumoniae are found in 5-10% of exacerbations. Harrison's medicine-18th edition,page no:2158.